Migratory thrombophlebitis is seen in -
1. Dissaminated cancer
2. Rheumatic heart disease
3. Libman - sacks endocarditis
4. All of the above

Correct answer: 1. Dissaminated cancer